The action of Fondaparinux includes?
1. Blocks plasminogen action
2. Blocks fibrinolysis
3. Stimulates fibrinolysis
4. Anticoagulation

Correct answer: 4. Anticoagulation

Explanation: Fondaparinux is an example for low molecular weight heparin - used as an anticoagulant.Ref: Goodman Gillman 12th ed; pg 857.